Five factors of articulation were originally described by
1. Boucher
2. Fenn Lidlow and Gimson
3. Vincent Trapazzano
4. Rudolf Hanau

Correct answer: 4. Rudolf Hanau